If the right cardiac silhouette is obliterated, it means the pathology involves:
1. Right middle lobe
2. Right lower lobe
3. Right atrium of heart
4. Right ventricle of heart

Correct answer: 1. Right middle lobe

Explanation: Right middle lobe opacity illustrates the "silhouette sign" on the right heart border. The silhouette sign is is commonly associated with alveolar disease. It consists of obliteration of an anatomic border due to direct contact with an alveolar density. It is also associated with pulmonary collapse, masses and pectus excavatum. Ref: Kritek P., Reilly, J.J. (2012). Chapter e34. Atlas of Chest Imaging. In D.L. Longo, A.S. Fauci, D.L. Kasper, S.L. Hauser, J.L. Jameson, J. Loscalzo (Eds), Harrison's Principles of Internal Medicine, 18e.